Naegler's reaction is shown by?
1. Clostradium tetani
2. Clostridium welchii
3. Mycobacterium tuberculosis
4. Mycobacterium leprae

Correct answer: 2. Clostridium welchii

Explanation: Ans. (b) Clostridium welchiiRef: Ananthnarayan 7/e / 238